Malignant pustule is/are seen in infection with:
1. Treponema pallidum
2. Campylobacter granulomatosis
3. Bacillus anthrax
4. H.ducrei

Correct answer: 3. Bacillus anthrax

Explanation: Ans, C (Bacillus...) CUTANEOUS ANTHRAX Anantnranan 8th/245# This follows entry of the infection through the skin. The face, neck, hands, arms and back are the usual sites.# The lesion starts as a papule 1-3 days after infection and becomes vesicular, containing fluid which may be clear or bloodstained.The whole area is congested and edematous, and several satellite lesions filled with serum or yellow fluid are arranged round a central necrotic lesion which is covered by a black eschar. (The name anthrax, which means coal, comes from the black colour or the eschar.)The lesion is called a malignant pustule9.The disease used to be common in dock workers carrying loads of hides and skins on their bare backs and hence was known as the hide porter's disease.